'Saw tooth' appearance on barium enema may be seen in:
1. Diverticular disease of colon
2. Carcinoma colon
3. Colitis
4. Polyps

Correct answer: 1. Diverticular disease of colon

Explanation: Ans. A i.e. Diverticular disease of colon